Macula cerulea is seen in – a) Pediculosis humanis corporisb) Pediculosis capitisc) Pthiris pubisd) Lupus erythematosis
1. a
2. ac
3. ad
4. b

Correct answer: 2. ac

Explanation: Maculae ceruleae (blue - gray macules) occur in pediculosis corporis & P. pubis.